The mechanism of action of psoralen is:
1. Binding to DNA
2. Inhibiting protein synthesis
3. Inhibiting angiogenesis
4. Inhibiting keratinization

Correct answer: 1. Binding to DNA

Explanation: A. i.e. Binding to DNA